International Day of Radiology is celebrated on
1. 6th November
2. 7th November
3. 8th November
4. 9th November

Correct answer: 3. 8th November

Explanation: 8th November of each year is celebrated as International Day of Radiology(IDOR) X Rays were discovered by W.C.Roentgen on 8th November 1895, so 8th November is celebrated as International Day of Radiology every year. Theme for IDOR 2019: sports imaging